Which of the following hormones does not affect growth?
1. Oxytocin
2. Somatotropins
3. Thyroid hormone
4. Estrogen

Correct answer: 1. Oxytocin